Not a radiological finding of Hemophilic arthropathy
1. Patellar squaring
2. Subchondral cyst
3. Shortening of intercondylar notch of knee
4. Epiphyseal Overgrowth

Correct answer: 3. Shortening of intercondylar notch of knee

Explanation: Knee intercondylar notch widening is seen in Hemophilia.